Glucose is transported in the presence Na+ ions in intestine. This is a type of
1. Secondary Active transport
2. Primary active transport
3. Facilitated diffusion
4. Simple diffusion

Correct answer: 1. Secondary Active transport

Explanation: The active transport of Na+ into the ECF by Na+-K+ pump is coupled to the transport of other substances across the cell membrane against their concentration gradient. The energy for the transport is not directly derived from ATP hydrolysis. Na+ Cotransport of glucose is an example(Ref: Diseases. Textbook of medical physiology-Geetha)